Good prognosis in schizophrenia is/are seen in:
1. Negative symptoms
2. Early onset
3. Acute onset
4. Family history of schizophrenia

Correct answer: 3. Acute onset

Explanation: Ans. C. Acute onsetGood Prognosis in Schizophrenia:Late onset (Onset >35 yr)Short duration (<6months)Obvious precipitating factorsAcute onset/ Abrupt onsetGood premorbid social, sexuaI and work historiesMood disorder symptoms(especially depressive disorders)MarriedFamily history of mood disordersGood social support systemsPositive symptoms:Presence of precipitating stressorCatatonic subtype(paranoid- intermediate prognosis)First episodePyknic (fat) bodyFemale sexPresence of confusion, perplexity or disorientation in the acute phaseNormal cranial CTOutpatient treatment - Proper treatment & good response to treatment